Spasm of masseter muscles occur in:
1. Tetanus
2. Trigeminal neuraligia
3. Tuberculous meningitis
4. Rabies

Correct answer: 1. Tetanus